Recurrent miscarriage is :
1. 4 or more pregnancy losses at any weeks
2. 3 or more consecutive losses < 20 weeks
3. >2 pregnancy losses >12 weeks
4. >3 pregnancy losses, after 24 weeks

Correct answer: 2. 3 or more consecutive losses < 20 weeks

Explanation: Ans. is 'b' i.e., 3 or more consecutive losses < 20 weeks * Recurrent miscarriage, habitual abortion, or recurrent pregnancy loss (RPL) is three or more consecutive pregnancy losses at less than (or equal to) 20 weeks of gestation or with a fetal weight of <500 grams.* It affects approximately 1% to 2% of women